Insufflation pressure during laparoscopy is?
1. 5-10 mm Hg
2. 11-15 mm Hg
3. 15-20 mm Hg
4. 20-25 mm Hg

Correct answer: 2. 11-15 mm Hg

Explanation: ANSWER: (B) 11-15 mm HgREF: Maingot's 10th ed p. 243The intrabdominal pressure during laparoscopy is monitored by insufflator and it is set between 12-15 mm Hg.